Antiphospholipid Antibody (APLA) syndrome is associated with all of the following except:
1. Bleeding disorders
2. Thrombotic disorders
3. Coagulation disorders
4. Recurrent fetal loss

Correct answer: 1. Bleeding disorders

Explanation: Answer is A (Bleeding disorders): Antiphospholipid Antibody Syndrome is associated with thrombotic disorders and not bleeding disorders Antiphospholipid Antibody syndrome (APLA) is primarily a disorder of coagulation resulting in a hypercoagulation state. Manifestations of Antiphospholipid Antibody syndrome including recurrent thrombosis and fetal loss result from the hypercoagulable state. Bleeding disorders are not seen.